In a 40 years old male thrombus in the common femoral artery is because of -
1. Atheroma
2. Thrombangits obliterans
3. Raynauds disease
4. Abdominal mass

Correct answer: 1. Atheroma